Complication of measles are all except –
1. Myocarditis
2. Appendicitis
3. SSPE
4. Pancreatitis

Correct answer: 4. Pancreatitis